Which is the treatment for mucocele of gall bladder -
1. Cholecystectomy
2. Cholecystostomy
3. Conservative treatment
4. None

Correct answer: 1. Cholecystectomy